Normal standard deviation true is-
1. Mean = Median
2. Mean > Median
3. Median > Mean
4. Mode > Mean

Correct answer: 1. Mean = Median

Explanation: Repeated question the standard deviation (SD, also represented by the Greek letter sigma s or the Latin letter s) is a measure that is used to quantify the amount of variation or dispersion of a set of data values. A low standard deviation indicates that the data points tend to be close to the mean (also called the expected value) of the set, while a high standard deviation indicates that the data points are spread out over a wider range of values